Whipple's is disease is caused by:-
1. Bacteroides
2. Acinetobacter
3. H.pyori
4. Tropheryma whippelii

Correct answer: 4. Tropheryma whippelii

Explanation: - Whipple's is disease is caused by a bacteria called Tropheryma whippelii - H.pylori results in chronic gastritis & peptic ulcer disease.